Which of the following is false with regards to ultrasonography?
1. Interpretation only possible during the examination
2. No radiation
3. Not good for soft tissue
4. Inexpensive

Correct answer: 3. Not good for soft tissue